A child on b2 agonists for treatment of bronchial asthma may exhibit all of the following features except:
1. Tremors
2. Hypoglycemia
3. Hypokalemia
4. Bronchodilation

Correct answer: 2. Hypoglycemia

Explanation: Ans. (B) Hypoglycemia(Ref: KDT 8th/e p149)b2 agonists are the inhaled bronchodilators used for the management of bronchial asthma.Tremor is the dose related adverse effect of these drugs.Brief hyperkalemia followed by hypokalemia is an important adverse effect of these agents.b2 agonists do not cause hypoglycemia.